"Best mutual adjustment of man and his work for improvement of human efficiency" is known as:
1. Ergonomics
2. Euthenics
3. Eugenics
4. None of the above

Correct answer: 1. Ergonomics

Explanation: Ergonomics means fitting the job to the worker. Training in ergonomics involves designing of machines, tools, equipment and manufacturing processes, lay out of places of work, methods of work and environment in order to achieve greater efficiency of both man and woman. Ref: Park 21st edition page 744.